Narrowest part of the urethra is?
1. External meatus
2. Membranous urethra
3. Bulbous urethra
4. Internal meatus

Correct answer: 1. External meatus

Explanation: Ans. is 'a' i.e., External meatus